Esomeprazole acts by inhibiting
1. H+Na+ ATPase pump
2. H+ pump
3. H+K+ ATPase pump
4. Any of the above

Correct answer: 3. H+K+ ATPase pump

Explanation: Esomeprazole is an example of proton pumb inhibitor